Property of acquiring antibiotic resistance from the viral colony is by -
1. Transferance
2. Conjunction
3. Transduction
4. Mutation

Correct answer: 3. Transduction

Explanation: TRANSDUCTION: the transfer of a portion of the DNA from one bacterium to another by a bacteriophage is known as transduction. bacteriophages are viruses that parasitize the bacteria and consist of a nucleic acid core and a protein coat. a phage particle may have its core beside its own nucleic acid a segment of host DNA. When this particle infects another bacterium DNA transfer is effected and the recipient cells acquire new characteristic coded by the donor DNA REF:Ananthanarayan and Panicker's Textbook ofMicrobiology 8thEdition pg no:63